Bazin's disease is also called as
1. Erythema nodosum
2. Erythema induratum
3. Erythema multiforme
4. Erythema marginatum

Correct answer: 2. Erythema induratum

Explanation: Erythema induratum/nodular vasculitis Epidemiology :- * Women primarily; 30-40 yrs. Pathogenesis :- * May be a/w tuberculosis (erythema induratum of Bazin) or idiopathic (nodular vasculitis) # Tissue culture for mycobacteria usually negative. * PCR tests for M. tuberculosis more sensitive. * Likely type IV cell-mediated response to antigen . Clinical features :- * Tender, recurrent red-purple nodules and plaques on calves most commonly. * May ulcerate, drain and scar. Ref:- Review of Dermatology by Alikhan; pg num:-190